A 54-year-old diabetic patient complaints of an unresolved skin lesion on his foot. The lesion began several weeks ago as a blister and has since become a painful, erosive, expanding sore. On examination, the affected site is now 5 cm in diameter, with a black necrotic center and raised red edges. Which toxin has a mechanism of action most similar to the toxin responsible for tissue damage in this patient?
1. Anthrax toxin
2. Botulinum toxin
3. Cholera toxin
4. Diphtheria toxin

Correct answer: 4. Diphtheria toxin

Explanation: This is the history of ecthyma gangrenosum (skin infection) due to Pseudomonas aeruginosa. Exotoxin A of P. aeruginosa has a same mechanism of action as diphtheria toxin. Pseudomonas aeruginosa is a gram-negative bacterium, motile by polar flagella. It is catalase and oxidase test positive. It produces two important pigments: fluorecein and pyocyanin. Selective medium used for its isolation is ceimide agar.